Principal of using Robertson cooked meat broth -
1. Meat kills other bacteria
2. Meat is utilized by anaerobes
3. Content of meat extract utilize O2
4. All of the above

Correct answer: 3. Content of meat extract utilize O2

Explanation: Ans. is 'c' i.e., Content of meat extract utilize O2 o Commonly used media for anaerobic culture include:i) Robertson cooked meat broth (most commonly used)ii) Thioglycallate brothiii) Willis and Hobb s mediaiv) Neomycin blod agaro Robertson cooked meat (RCM) broth is the most widely used medium in anaerobic culture.o It consists of nutrient broth and pieces of fat-free minced cooked meat of ox heart with a layer of sterile liquid paraffin over it.o Unsaturated fatty acids and even glutathione and cysteine present in the meat extract utilize oxygen for auto-oxidationo The medium before inoculation is usually boiled at SOX in a water bath to make the medium free of oxygeno The media after inoculation and incubation allows the growth of even strict anaerobes and also indicates their saccharolytic or proteolytic activities as meat turned red or black, respectively.